Mucopolysaccharide which function as a lubricant and shock absorber in synovial fluid is
1. Heparin
2. Hyaluronic acid
3. Keratin sulphate
4. Chondroitin sulphate

Correct answer: 2. Hyaluronic acid

Explanation: Hyaluronic Acid:
Hyaluronic acid is an important GAG found in the ground substance of synovial fluid of joints and vitreous humor of eyes. It is also present as a ground substance in connective tissues and forms a gel around the ovum. Hyaluronic acid serves as a lubricant and shock absorbent in joints.